All of the following are indicators of adequacy of preoperative resuscitation except -
1. C-reactive protein level
2. Consciousness level
3. Urine output
4. Hematocrit level

Correct answer: 1. C-reactive protein level

Explanation: Ans. is 'a' i.e., C-reactive protein level